Frontal Sinus can be best visualized by
1. Caldwell's view
2. Water's view
3. Towne's view
4. Schuller's view

Correct answer: 1. Caldwell's view

Explanation: A. Caldwell's view -frontal sinuses are seen best B. Water's view-maxillary sinus seen best C. Towne's view-usually taken for acoustic neuroma and apical petrositis D. Schuller's view-to visualise the key area of the mastoid (attic, aditus, antrum) (Ref: Textbook of ENT, Dhingra; 7th edition, of no. 493, 494)